Decrease in serum iron, decrease TIBC is seen in-
1. Iron deficiency anemia
2. Thallasemia
3. Anemia of chronic disease
4. Sideroblastic anemia

Correct answer: 3. Anemia of chronic disease

Explanation: As in anemia of iron deficiency, the serum iron and ferritin levels usually are low. TIBC is high. In Anemia of chronic disease, the red cells are usually normocytic and normochromic but in some cases hypochromic and microcytic. Anemia of Chronic diseases is associated with low serum iron, reduced TIBC and abundant stored iron in tissue macrophages. Reference:Robbins - 9th edition, Page no: 652.